All of the following decreases cerebral blood now, and intracninial pressure except:
1. Propofol
2. Thiopentone
3. Ketamine
4. Etomidate

Correct answer: 3. Ketamine

Explanation: (C) Ketamine